Thymoma can be associated with all, EXCEPT:
1. Superior mediastinum syndrome
2. Myasthenia gravis
3. Hypergammaglobulinemia
4. Pure red cell aplasia

Correct answer: 3. Hypergammaglobulinemia

Explanation: Answer is C (Hypergammaglobulinemia) : Thymoma is associated with Hypogammaglobulinemia and not Hypergammaglohulinemia Thymomas :are tumors of thymic epithelial cells found in adults and may be benign or malignant Presentation in Thvinomas Presentation due to mass effect Arise in Anterosuperior mediastinum and may present with manifestation of superior mediastinal syndrome. Presentation due to associated paraneoplastic syndrome Myaesthenia gravisQ Acquired HypogammaglobulinemiaQ Pure red cell aplasia Graves disease Perenicious anemia Dermatomyositis / polymyositis Cushing's syndrome